The only neuron in retina showing action potentials are
1. Rods and cones
2. Bipolar cells
3. Amacrine cells
4. Ganglion cells

Correct answer: 4. Ganglion cells

Explanation: Ganglion cells are a type of neuron located near the inner surface of the retina and are the final output neurons of the vertebrate retina. Ganglion cells collect visual information in their dendrites from bipolar cells and amacrine cells and transmit it to the brain throughout their axon to the brain. Ref: guyton and hall textbook of medical physiology 12 edition page number:742,743,744